The type of synechiae in iris bombe is
1. Ring
2. Total
3. Goniform
4. Filiform

Correct answer: 1. Ring

Explanation: A. i.e. Ring